As per RCH, the community health centre is a:
1. First referral unit
2. Secondary referral unit
3. Teritary referral unit
4. Not a referral unit

Correct answer: 1. First referral unit

Explanation: The RCH programme defines both community health centers and sub district hospitals as "First Referral Units". Under "Child Survival and Safe Motherhood" (CSSM) programme the existing community health centers and sub-district hospitals were planned to be converted into first referral units in order to be equipped to provide emergency obstetric care to pregnant patients. Ref: Guidelines for Operationalising First Referral Units - Ministry of Health and Family Welfare - Government of India 2004